H202 is breaked or formed by which of the following enzyme:
1. Oxidase
2. Oxygenase
3. Hydrolase
4. All

Correct answer: 1. Oxidase

Explanation: A i.e. OxidaseOxidase & superoxide dismutase generate H202, where as catalase and peroxidase are associated with breakdown of 11202Q.